Which of the following hydrocolloid is more flexible, that it can be distorted easily?
1. Alginate
2. Agar
3. Polysulphide
4. None of the above

Correct answer: 1. Alginate

Explanation: Typical Properties of Alginate and Heavy-Bodied Agar Hydrocolloid Impression Materials: